HP body is seen is -
1. Chlamydia trachomatis
2. Chlamydia psittaci
3. Chlamydia pneumoniae
4. Mycoplasma hominis

Correct answer: 1. Chlamydia trachomatis

Explanation: Ans. is 'a' i.e., Chlamydia trachomatis HP bodies are seen in:-i) Chlamydia trachomatis - Halberstaedter Prowazek (HP) bodyii) Molluscum contagiosum - Henderson paterson (HP) bodies.